What is the function of WHO collaborating centres?
1. Contact with ground root workers
2. Collaborative research work
3. Contact with higher officials
4. None of the above

Correct answer: 2. Collaborative research work

Explanation: WHO collaborating centres are institutions such as research institutes, parts of universities or academies, which are designated by the Director-General to carry out activities in support of the Organization's programmes.